The dietary fats are transmitted from GIT toadipocytes in the form of ?
1. Diacyl glycerol
2. Triacylglycerol
3. Fat misseles
4. Chylomicrons

Correct answer: 4. Chylomicrons

Explanation: Ans. is 'd' i.e., ChylomicronsTransport of dietary lipids It is the transport of lipid from intestine to liver.Chylomicrons transport the dietry lipid from intestine to livere.In diet the major lipids are triglyceride and cholesterol.Cholesterol is absorbed as such in proximal small intestine and is esterified to cholesteryl ester (ChE). Triglycerides are hydrolysed by lipases to glycerol and fatty acids which are absorbed in intestine.Inside intestinal cells triglyceride is synthesized by fatty acids. Chylomicrons are synthesized in the small intestine that contain triglyceride, cholesteryl ester, cholesterol, phosphlipids, and apoprotein B-48 (apo B-48) and apo-A.These chylomicrons are secreted in the intestinal lymph and reach the systemic circulation thoracic duct.In the circulation apo E and apo C are transfered to chylomicrons by HDL, so now chylomicrons contain apo A, apo B-48, apo- E, & apo-C.In the circulation, triglycerides of chylomicrons are hydrolysed by lipoprotein lipase (LPL) present on endothelial cells of vessels of skeletal muscles, adipose tissue and heart, but not in liver.The released fatty acids are utilized locally by these tissues.Adipose tissue uses these fatty acids to restore them as TGs and heart and skeletal muscle use them as source of energy.Thus, function of chylomicrons is to transport exogenous (dietry)triglycerideQ to adipose tissue (for storage), heart (for energy) and muscle (for energy).The chylomicron particle progressively shrinks in size by action of LPL and, cholesterol, phospholipids, apo-A and apo C are transferred to HDL, creating chylomicron remnants that contains more cholesterol, less triglycerides, apo-E & apo B-48.Chylomicron remnants are removed by liver by the LDL receptors that require apo-E as ligand.